Which of the following is not one of the proximate principles of food?
1. Protein
2. Fat
3. Carbohydrate
4. Vitamin

Correct answer: 4. Vitamin

Explanation: Proximate principles of food form the major bulk of food. In Indian diet, they contribute to total energy intake in following percentage Protein: 7 to15 % Fat: 10 to 30 % Carbohydrate: 65 to 80% Ref: Park 22nd edition, page 564.